A 6 year old boy with congenital hearing loss approached an ENT surgeon for cochlear implantation. TRUE regarding cochlear implants is:
1. Contraindicated in children less than 5 years of age
2. Implanted in mild-to-moderate deafness
3. Malformed cochlea is not a contraindication
4. Inserted through oval window

Correct answer: 3. Malformed cochlea is not a contraindication

Explanation: Congenital malformations of the cochlea are not contraindications to cochlear implantation. Contraindications for Cochlear Implants: 1. Deafness caused by lesions of the acoustic nerve or the central auditory pathway 2. Active middle ear infections 3. Cochlear ossification that prevents electrode insertion 4. Tympanic membrane perforation Appropriate age for cochlear implantation is between 2-17 years. Bilateral severe-to-profound sensorineural hearing loss is the main criteria for implantation. The electrode is inserted through the round window into the scala tympani of the cochlea.